Neutrophil Extracellular Traps
1. Are extracellular fibrillar networks.
2. Provide a high concentration of antimicrobial substances at sites of infection.
3. Produced by neutrophils in response to inflammatory mediators.
4. All of the above

Correct answer: 4. All of the above

Explanation: Neutrophil Extracellular Traps (Robbins 9th edition- New Topic):
NETs are extracellular fibrillar networks that provide a high concentration of antimicrobial substances at sites of infection and prevent the spread of  microbes by trapping them in the fibrils. They are produced by neutrophils in  response to infectious pathogens and  inflammatory mediators.